Histidine is present at the catalytic site of which of the following enzymes
1. Hexokinase
2. Carboxypeptidase
3. Trypsin
4. All of the above

Correct answer: 4. All of the above

Explanation: Active center of enzymes:- Name of enzyme Important amino acid at the catalytic site Chymotrypsin His(57), Asp(102), Ser(195) Trypsin Serine, Histidine Thrombin Serine,Histidine Phosphoglucomutase Serine Alkaline phosphatase Serine Carbonic anhydrase Cysteine Hexokinase Histidine Carboxypeptidase Histidine,Arginine,Tyrosine Aldolase Lysine